In anterior uveitis with secondary glaucoma, all mydriatics can be given, except
1. Pilocarpine
2. Homatropine
3. Epinephrine
4. Tropicamide

Correct answer: 1. Pilocarpine

Explanation: A i.e. Pilocarpine In inflamatory glaucoma (glaucoma with uveitis) pilocarpine (miotic) & prostaglandin analogue e.g. latanoprost are contraindicated Q because - Pilocarpine 1/t development of posterior synechiae Prostaglandin analogue enhance breakdown of aqueous barrier and exacerbate cystoid macular edema.